A 28-year-old male complains of glare in both eyes. The cornea shows whorl like opacities of the epithelium. He also gave a history of long term treatment with amiodarone. The most likely diagnosis is
1. Arcus senilis
2. Band-shaped keratopathy
3. Cornea verticillata
4. Terrain's marginal degeneration

Correct answer: 3. Cornea verticillata

Explanation: CORNEAL VERTICILLATA This is a whorl like opacity in the corneal epithelium seen in patients on long term treatment with medication such as amiodarone, chloroquine,phenothiazines and indomethacin. The condition is generally asymptomatic, and reversible on stoppage of drug. The whorl like pattern shows the direction of migration of corneal epithelial cells. The condition is known to cause glare and surface discomfort which responds to topical lubricants. Ref:- Parsons diseases of eye; pg num:-220